Immunoflorescence pattern in pemphigus vulgaris is suggestive of ?
1. Intercellular IgG deposition
2. C3 and IgG deposition at dermo-epidermal junction
3. IgA deposition at dermo-epidermal junction
4. IgA at pappilary tip

Correct answer: 1. Intercellular IgG deposition

Explanation: Ans. is 'a' i.e., Intercellular IgG deposition